ECG changes in hyperkalemia are all except -
1. Prolonged PR interval
2. Depressed ST-segment
3. Inverted T wave
4. Wide QRS

Correct answer: 3. Inverted T wave

Explanation: Ans. is 'c' i.e., Inverted T wave HypokalemiaHyperkalemiao Prominent U wave (earliest change)o Sine wave configurationo Flattening and inversion of T-waveo Tall, tented T-wave (peaked & narrow)o Prolonged PR-interval, QRS widening (in severe H~) o Prolonged PR-interval, QRS widening and(But PR & QRS constant when K+ +- 3.5 mEq/L)o |HR (Complete heart block or ventricularo Prolonged QT intervalasystole may occur)o Depressed / sagging of ST-segmento Depressed ST-segment